A 6 year old presents with a swelling which seems to be fluid filled translucent mass in supraclavicular area. It most likely represents:
1. Throglossal duct Cyst
2. Branchial cyst
3. Cystic hygroma
4. Lymphoma

Correct answer: 3. Cystic hygroma

Explanation: Cystic hygroma